Parasites causing lung infestation are -a) H. nanab) Paragonimus westermaniic) Taenia saginatad) E. granulosuse) E. multilocularis
1. c
2. bd
3. ab
4. ac

Correct answer: 2. bd

Explanation: Parasites causing lung infestation are:

Paragonimus westermanii (Lung fluke)
Ascaris lumbricoides (larva)
Hook worm (larva)
Echinococcus granulosus
Strongyloides stercoralis (larva)
Entamoeba histolytica.